Maternally derived Streptococcus mutant disease is:
1. Rampant caries.
2. Haemoglobinopathy.
3. Early childhood caries.
4. All of the above.

Correct answer: 3. Early childhood caries.